Continuous murmur is found in
1. AS combined with AR
2. Systemic A V fistula
3. PDA with reversal f shunt
4. All

Correct answer: 2. Systemic A V fistula

Explanation: Answer is B (Systemic A V fistula) Aoopulmonary window, systemic AV fistula and ruptured sinus of valsalva are associated with continuous murmurs caused by high to low pressure shunting of blood.